All except one affect minimum alveolar concentration
1. Premedication
2. Age
3. Altitude
4. Drugs

Correct answer: 3. Altitude

Explanation: Altitude does not affect MAC, since MAC is defined in terms of percentage of one atmosphere .